The most likely cause of intermittent jaundice in elderly
man is
1. Liver cirrhosis
2. Perlampullary carcinoma
3. CA head of pancreas
4. Hemolysis

Correct answer: 2. Perlampullary carcinoma

Explanation: Periampullary carcinoma causes intermittent jaundice (waxing and waning of jaundice).